A young pt presents with jaundice. Total bilirubin is 21, direct is 9.6, alkphosis 84 KA units. Diagnosis is:
1. Hemolytic jaundice
2. Viral hepatitis
3. Chronic active hepatitis
4. Obstructive jaundice

Correct answer: 4. Obstructive jaundice

Explanation: Answer is D (Obstructive jaundice): Direct bilirubinemia (conjugated birirubin > 15% of total bilirubin) along with high serum alkaline phosphatase (6-7 times normal) suggests the diagnosis of obstructive jaundice. AffirghnfeAre Total bilirubin (mg/dirt) 0.3 to 1.0 21.0 Direct bilirubin is 45% of total bilirubin Conjugated bilirubin (mg/d1) 0.1 to 0.3 9.6 Direct bilirubinemia Alkaline phosphatase 3-13 KAV 84 KA Alkaline phosphatase is raised by atleast six times:Significant rise Rise in conjugated bilirubin level may be seen Wth both, hepatocellular disease (Viral/ infective Hepatitis) and Obstructive jaundice hut association with significantly elevated ALP limits our diagnosis to obstructive damage. Rise in alkaline phosphatase levels Patient with parenchymal disease of liver i.e. hepatocellular disorders : may show increase in alkaline phosphatase levels but the increase is only slight to moderate and usually not more than two times normal Obstructive lesion: Striking increase in alkaline phosphatase is more suggestive of an obstructive lesion In the given question rise in alkaline phosphatase is about 6 to 7 times normal and thus is more in favour of an obstructive cause.